Thumb sign is seen in __________________
1. Acute epiglottitis
2. Acute laryngo trachea bronchitis
3. Acute tonsillitis
4. Acute laryngitis

Correct answer: 1. Acute epiglottitis

Explanation: DIFFERENCES BETWEEN ACUTE EPIGLOTTITIS AND ACUTE LARYNGO-TRACHEOBRONCHITIS IN CHILDREN: Acute epiglottitis Acute laryngo-tracheo-bronchitis (or group) Causative organism Haemophilus influenzae type B Para influenza virus type I and II Age 2-7 years 3 months to 3 years Pathology Supraglottic larynx Subglottic area Prodromal symptoms Absent Present Onset Sudden Slow Fever High Low grade or no fever Patient's look Toxic Non-toxic Cough Usually absent Present, (Barking seal-like) Strider Present and may be marked Present Odynophagia Present, with drooling of secretions Usually absent Radiology Thumb sign on lateral view Steeple sign on anteroposterior view of neck Treatment Humidified oxygen, third generation cephalosporin (ceftriaxone) or amoxicillin Humidified 0 2 tent, steroids